A 38-year-old woman complains to her physician of chronic pelvic pain that is much worse during her menstrual periods. Pelvic examination demonstrates an enlarged uterus with multiple palpable masses. Ultrasound shows that a large number of ball-like masses up to 6 cm diameter are present in the uterus. Most cases of this type of tumor are found at which of the following sites?
1. Intramurally in the cervix of the uterus
2. Intramurally in the fundus or body of the uterus
3. Submucosally in the cervix of the uterus
4. Submucosally in the fundus or body of the uterus

Correct answer: 2. Intramurally in the fundus or body of the uterus

Explanation: The vast majority of leiomyomas are found in the uterine fundus or body; with only 3% being found in the cervix. Of the leiomyomas in the fundus or body, 95% are intramural, with the remainder being located subserosally or submucosally.